A 28-year-old professional cyclist has been training for an opportunity to go for a long race. His coach strongly suggests the intake of carbohydrates after the work out to ensure a muscle glycogen storage. The activity of muscle glycogen synthase in resting muscles is increased by the action of which of the following:
1. Epinephrine
2. Glucagon
3. Insulin
4. Phosphorylation

Correct answer: 3. Insulin

Explanation: Insulin increases the activity of muscle glycogen synthase after the intake of carbohydrates & increases glycogen reserves in liver & muscles. Insulin is anabolic hormone, so increases the rate of the anabolic pathway - glycogenesis. Fig.: In fed state, insulin hormone is released